Which is not a feature of pancreatic Ascites
1. Low protein
2. Somatostatin is the drug of choice
3. Communication with pancreatic duct is 80%
4. Raised amylase levels

Correct answer: 1. Low protein

Explanation: Pancreatic Ascites: Management Pancreatic ascites occurs from a pancreatic duct disruption or from a leaking pseudocyst High amylase levels are found in the ascitic fluid Initial treatment : Non operative (elimination of enteral feeding, institution of nasogastric drainage, and administration of somatostatin) Recent paracentesis may also be helpful Roughly 50%-60% of patients can be expected to respond to this treatment with resolution of pancreatic Ascites within 2 to 3 weeks Ref: Bailey and love 27th edition Pgno :1228